A young man finds that every time he eats dairy products he feels very uncomfortable. His stomach becomes distended. He develops gas and diarrhoea frequently. These symptoms do not appear when he eats food other than dairy products. Which of the following is most likely enzyme in which this young man is deficient:
1. Alpha amylase
2. Beta galactosidase
3. Alpha glucosidase
4. Sucrase

Correct answer: 2. Beta galactosidase

Explanation: The patient has abdominal discomfort & diarrhoea after taking milk. Diagnosis is Lactose Intolerance. Enzyme deficient in this patient is b-Galactosidase which is also known as Lactase. It breaks down milk sugar lactose into glucose and galactose which can be easily absorbed. a-Amylase digests Starch (Option a) a- Glucosidase or Acid Maltase is minor pathway of Glycogen breakdown in lysosomes (Option c) If abdominal discomfort & diarrhea appear after taking sugar or sugarcane juice, then enzyme deficient is Sucrase (Option d)